Patient presents with neck swelling and respiratory distress few hours after a thyroidectomy surgery. Next management would be -
1. Open immediatly
2. Trecheostomy
3. Wait and watch
4. Oxygen by mask

Correct answer: 1. Open immediatly